Which of the following is not seen in Tuberous sclerosis ?
1. Shagreen patch
2. Adenoma sebacecum
3. McCollon Plaques
4. Depigmented nevi

Correct answer: 3. McCollon Plaques

Explanation: Ans. is 'c' i.e., McCollon Plaques